In which of the following conditions are the Aschoff bodies observed?
1. Acute myelogenous leukemia
2. Pheochromocytoma
3. Osteopetrosis
4. Rheumatic fever

Correct answer: 4. Rheumatic fever

Explanation: Aschoff bodies are the classic lesions observed in rheumatic fever. They are areas of focal necrosis surrounded by a dense inflammatory infiltration and may be observed in heart tissues.